Trichophyton species which is zoophilic?
1. T. tonsurans
2. T. violaceum
3. T. schoenleinii
4. T. mentagrophytes

Correct answer: 4. T. mentagrophytes

Explanation: Ans. is 'd' i.e., T. mentagrophytes(Ref: Harrison, 18th/e, p. 401; Jawetz, 23rd/e, p. 631)* Zoophilic dermatophytes are the species which primarily infect animals and occasionally transmitted to humans.* Zoophilic species of trichophyton are T. mentagrophytes and T. verrucosum.* Other zoophilic species of dermatophytes is M. canis.